Number of holes per square inch of a standard mosquito net is?
1. 100
2. 150
3. 250
4. 175

Correct answer: 2. 150

Explanation: ANSWER: (B) 150REF: Park 20th edition page 678"The size of the opening of mosquito net is of utmost importance- the size should not exceed 0.0475 inch in any diameter. The number of holes in one square inch is usually 150"